White infarct is seen in:
1. Lung
2. Heart
3. Intestine
4. Ovary

Correct answer: 2. Heart